Which of the following is NOT transmitted by Aedesaegypti -
1. Filariasis
2. Yellow fever
3. Dengue fever
4. Chikungunya Hemorrhagic fever

Correct answer: 1. Filariasis

Explanation: Ans. is 'a' i.e., Filariasis Filariasis is rarely transmitted by Aedes Aegypti mosquito. It is usually transmited by culex mosquito.